Diuretic that is useful in mild to moderate hypertension is
1. Loop diuretics
2. Thiazides
3. Osmotic diuretics
4. Potassium sparing diuretics

Correct answer: 2. Thiazides

Explanation: Thiazides are not only drug of choice for mild to moderate hypertension but RTI first line choice for this type of patients as antihypertensive drugs Refer Harrison 19e/p1623